The composition of creatine is:
1. Glycine, arginine, methionine
2. Glycine and histidine
3. Glycine, glutamate, aspartate
4. Histidine and methionine

Correct answer: 1. Glycine, arginine, methionine

Explanation: Ans. (a) Glycine, arginine, methionineRef: Vasudevan Biochemistry, 8th ed. P 269* Creatinine is formed in muscle from creatine phosphate by irreversible, nonenzymatic dehydration and loss of phosphate.* Glycine, arginine, and methionine all participate in creatine biosynthesis.* Synthesis of creatine is completed by methylation of guanidinoacetate by S-adenosylmethionine.